Highest risk of ectopic pregnancy is associated with :
1. Pelvic inflammatory disease
2. Tubal endometriosis
3. Intrauterine contraceptive device
4. Broad ligament tumours

Correct answer: 1. Pelvic inflammatory disease

Explanation: Pelvic inflammatory disease